Bennett's fracture is fracture dislocation of base of --- metacarpal:
1. 4th
2. 3rd
3. 2nd
4. 1st

Correct answer: 4. 1st

Explanation: D i.e. 1st